Congenital long QT syndrome can lead to?
1. Complete heart block
2. Polymorphic ventricular tachycardia
3. Acute myocardial infarction
4. Recurrent supraventricular tachycardia

Correct answer: 2. Polymorphic ventricular tachycardia

Explanation: Answer is B (polymorphic Ventricular Tachycardia) Torsades de pointes is the hallmark arrythymia in the long QT syndrome -- Hurst 12th/1016 Pylomorphic ventricular tachycardia is synonymous with Torsades de Pointes and the single best answer of choice. Congenital long QT Syndrome is associated with reduced repolarization reserve. Reduced repolorization reserve. Reduced repolorization reserve predisposes patients with marked QT prolongation to develop Torsades de pointes. - Hurst 12th/1082,1083 What is congenital long QT Syndrome Congenital long QT Syndrome is a familial disorder characterized by a prolonged QT interval on Electrocardiogram Most forms of congenital long QT Syndromes are caused by Channelopathies created by mutations in one or more genes How do Patients with congenital long QT Syndrome present May present with syncope due to torsades de pointesQ May present with sudden death due to ventricular.fibrillationQ Note Ventricular Tachyarrythmias commonly develop during periods of adrenergic stimulation such as fright or exertion but may also develop during sleep. Most competitive sports are contraindicated for patients with congenital long QT syndrome Clinical conditions that are associated with reduced repolarization reserve (Patient predisposed for marked QT prolongation and resultant Torsades-de pointes) Congenital long QT Syndrome Acquired long QT Syndrome caused by a variety of drugs/ medications Bradvcardia Female gender Ventricular Hypertrophy Electrolyte disturbances such as hypokalemia and hypomognesemia